Ibuprofen acts on:
1. Lipoxygenase pathway
2. Cyclooxygenase pathway
3. Kinin system
4. Serotonin system

Correct answer: 2. Cyclooxygenase pathway

Explanation: Ibuprofen is an NSAID - So acts on COX pathway ESSENTIALS OF MEDICAL PHARMACOLOGY;7TH EDITION;KD TRIPATHI;PAGE NO 193